Triad of alopecia, neuropathy and diarrhea results from which poisoning
1. Thallium
2. Dhatura
3. Opium
4. Mercury

Correct answer: 1. Thallium

Explanation: Ans. is 'a' i.e. thallium The classic symptoms of acute thallium toxicity are:Severe stomach pain, nausea, vomiting, and diarrhea within 3-4 hours of exposurePainful and rapidly progressing peripheral neuropathies (numbness, tingling and pain, especially on the soles and palms) about 2-5 days after exposure.Sudden hair loss that progresses to widespread alopecia about 2-3 weeks after exposure.Signs and symptoms of chronic poisoning include tiredness, headaches, depression, hallucinations, psychosis, dementia, poor appetite, leg pains, hair loss and disturbances of vision.